FEV1/FEVC ratio is decreased in all,except :
1. Bronchiectasis
2. Emphysema
3. Chronic bronchitis
4. Tuberculosis

Correct answer: 4. Tuberculosis